Crescentic glomerulonephritis with pauci-immune glomerulonephritis is associated with which of the following?
1. Post-infectious glomerulonephritis
2. Goodpasture's syndrome
3. Granulomatosis with polyangiitis
4. Membranous glomerulonephritis

Correct answer: 3. Granulomatosis with polyangiitis

Explanation: RPGN/Crescentic glomerulonephritis Type I RPGN (Anti-GBM antibody) Type II RPGN (Immune complex) Type III RPGN (Pauci immune) Idiopathic Goodpasture's syndrome Idiopathic Post infectious SLE Henoch Schonlein Purpura Idiopathic ANCA associated Wegener's granulomatosis/Granulomatosis with polyangiitis Microscopic polyangiitis Immunofluorescence finding Immunofluorescence finding Immunofluorescence finding Linear GBM deposits of IgG and C3 "Lumpy bumpy" granular pattern of staining No immunoglobulin or complement deposits in GBM